Infliximab is directed against -
1. Tumor necrosis factor-a (TNF - a)
2. Interleukin-1 (IL-1)
3. Interleukin -12 (IL -12)
4. Intercellular adhesion molecule (ICAM)

Correct answer: 1. Tumor necrosis factor-a (TNF - a)

Explanation: TNF-alfa (alpha) inhibitors (TNF-alpha) are a group of medicines that suppress the body's natural response to tumor necrosis factor (TNF), a protein produced by white blood cells that is involved in early inflammatory events. TNF-alfa inhibitors treat a wide range of inflammatory conditions such as RA , juvenile arthritis, crohn's disease, ulcerative colitis , ankylosing spondolytis, and psoriasis . Ref - Tripati 7th edition , Pubmed.com